Lines of Zahn are found in:
1. Thrombus
2. Infarct tissue
3. Postmortem clot
4. All

Correct answer: 1. Thrombus